True statements with regard to sampling-a) Snowball sampling is used for hidden populationb) More sample in systemic random samplingc) In stratified random sampling population is divided into stratad) Cluster sampling is less cost-effective
1. ac
2. bc
3. ad
4. b

Correct answer: 1. ac